All are functions of oxytocin except
1. Galactokinesis
2. Uterine contraction in non pregnant female
3. Contraction of smooth muscle of vas deferens GalactopoiesisContraction of smooth muscle of vas deferens Galactopoiesis
4. Galactopoiesis

Correct answer: 4. Galactopoiesis

Explanation: Maintenance of lactation (galactopoiesis) is by prolactin. Oxytocin causes contraction of the myoepithelial cells, smooth muscle-like cells that line the ducts of the breast. This squeezes the milk out of the alveoli of the lactating breast into the large ducts (sinuses) and thence out of the nipple (milk ejection or expulsion of milk or galactokinesis). Oxytocin causes contraction of the smooth muscle of the uterus. Oxytocin may also act on the nonpregnant uterus to facilitate sperm transport. It causes increased contraction of the smooth muscle of the vas deferens, propelling sperm toward the urethra.